EBV causes:
1. Infectious mononucleosis
2. Nasopharyngeal carcinoma
3. Glandular fever
4. All of the above

Correct answer: 4. All of the above

Explanation: Ans. D i.e. All of the above Epstein-Barr virus (EBV)/ Human herpesvirus 4 (HHV-4) It is a virus of the herpes family, and is one of the most common viruses in humans. It is best known as the cause of infectious mononucleosis (glandular fever). It is also associated with particular forms of cancer, such as Hodgkin's lymphoma, Burkitt's lymphoma, nasopharyngeal carcinoma, and conditions associated with human immunodeficiency virus (HIV) such as hairy leukoplakia and central nervous system lymphomas. There is evidence that infection with the virus is associated with a higher risk of certain autoimmune diseases, especially dermatomyositis, systemic lupus erythematosus, rheumatoid arthritis, Sjogren's syndrome, and multiple sclerosis. Infection with EBV occurs by the oral transfer of saliva and genital secretions.